Name of the parotid duct:
1. Stensons duct
2. Nasolacrimal duct
3. Whaons duct
4. None of the above

Correct answer: 1. Stensons duct

Explanation: Stensons duct